Incubation period of measles -
1. 14 days
2. 1 Month
3. 3 Month
4. 5 Month

Correct answer: 1. 14 days

Explanation: Ans. is 'a' i.e., 14 days Incubation periods of important respiratory infectionsDiseaseCausative organismincubation periodSmall poxVariola virus7-14 daysChicken poxHuman (alpha) herpes virus14-16 daysMeasles (Rubeolla)RNA paramyxovirus10-14 daysRubella (German Measles)RNA Togavirus14-21 daysMumpsRNA Myxovirus14-18 daysInfluenzaOrthomyxovirus18-72 hoursDiphtheriaCorynebacterium diphtheriae2-6 daysPertussis (Whooping cough)Bordetella pertussis7-14 daysMeningococcal meningitisNeisseria meningitis3-4 daysSARSCorona virus3-5 daysTuberculosisMycobacterium tuberculosisWeeks-years